Cephalic phase of gastric secretion:
1. Local hormones
2. Gastric distension
3. Nervous mechanism
4. Presence of food in stomach

Correct answer: 3. Nervous mechanism

Explanation: Ans. C i.e. Nervous mechanismThe cephalic phase of gastric juice secretionThiy percent of the total gastric acid secretions to be produced is stimulated by anticipation of eating and the smell or taste of food.This signalling occurs from higher centres in the brain through the Vagus Nerve.It activates parietal cells to release acid and ECL cells to release histamine.The Vagus nerve also releases Gastrin Releasing Peptide onto G cells.Finally, it also inhibits somatostatin release from D cells